High stepping gait is seen in ?
1. CTEV
2. Common peroneal nerve palsy
3. Polio
4. Cerebral palsy

Correct answer: 2. Common peroneal nerve palsy

Explanation: Ans. is 'b' i.e., Common peroneal nerve palsy